Drug of choice for MRSA infection:
1. Vancomycin
2. Streptomycin
3. Cefixime
4. Amoxicillin

Correct answer: 1. Vancomycin

Explanation: Ans. A. VancomycinMethicillin resistant staphylococcus infection is serious infection where penicillin group of dugs don't work. Vancomycin is given parenterally for MRSA. Other drugs which can be given are telavancin, delbavancin, teicoplanin, daptomycin, linezolid.